Polycythemia is not caused by ?
1. Renal carcinoma
2. Liver carcinoma
3. Cerebellar hemangioma
4. Lung carcinoma

Correct answer: 4. Lung carcinoma

Explanation: Ans. is 'd' i.e., Lung carcinoma Important tumors causing polycythemia are renal cell carcinoma, hepatocellular carcinoma (liver carcinoma) and cerebellar hemangioma.